Which of the following bacteria is isolated with Cetrimide agar:
1. Clostridium Perfringens
2. Clostridium tetani
3. Pseudomonas aeruginosa
4. E.Coli

Correct answer: 3. Pseudomonas aeruginosa

Explanation: Ans. (c) Pseudomonas aeruginosaRef: Microbiology by Ananthanarayan and Paniker 8th ed. / 317* Pseudomonas is isolated from feces or other samples by using selective media such as cetrimide agar.* E.Coli is cultured in Mac-conkey media* Clostridium tetani grows on ordinary media and is improved by blood and serum.* Clostridium perfringens grows on blood agar plate.